The deficiency of all of the following factors increases the incidence of thrombus formation except -
1. Lipoprotein A
2. Protein - C
3. Anti - thrombin III
4. Protein - S

Correct answer: 1. Lipoprotein A